Hyperprolactinemia is a side effect of:
1. Bromocriiptine
2. Levodopa
3. Amantadine
4. Metoclopramide

Correct answer: 4. Metoclopramide

Explanation: Metoclopramide